Which is the smallest transverse diameter of fetal head:
1. Biparietal
2. Bitemporal
3. Bimastoid
4. Super subparietal

Correct answer: 3. Bimastoid

Explanation: Ans. (c) BimastoidRef: D.C. Dutta 8th ed. / 94-97TRANVERSE DIAMETERS OF FETAL HEAD* Biparietal: 9.5 cm* Bitemporal: 8 cm* Bimastoid: 7.5 cm; smallest transverse diameter* Super subparietal: 8.5 cm